Not seen in hyponatremia:
1. Nausea
2. Delusion
3. Vomiting
4. Anorexia

Correct answer: 2. Delusion

Explanation: Ans. B: Delusion